Run-amok is:
1. Running-away from stressful situation
2. Killing people randomly
3. Feeling of insects running under skin
4. Ingesting corrosive in rage

Correct answer: 2. Killing people randomly

Explanation: Ans. Killing people randomly